Contraindication of O.C.P -
1. Liver disease
2. PID
3. Renal disease
4. Epilepsy

Correct answer: 1. Liver disease

Explanation: Ans. is 'a' i.e., Liver disease